Wine Glass appearance on T2W-MRI BRAIN is seen with?
1. Metachromatic Leukodystrophy
2. Canavans Disease
3. Creutzfeld Jacob Disease
4. Amyotrophic Lateral Sclerosis

Correct answer: 4. Amyotrophic Lateral Sclerosis

Explanation: Wine Glass Sign on MRI Brain *T2-weighted imaging, black arrow shows hyperintensity in the posterior bilateral internal capsule and b/l corticospinal tracts with classical wine glass appearance in ALS/Lou Gehrig's disease